Haemoglobin cutoff to define anaemia in children aged 5-11 years is
1. 11 g/dl
2. 11.5 g/dl
3. 12 g/dl
4. 13 g/dl

Correct answer: 2. 11.5 g/dl

Explanation: Haemoglobin cutoffs to define anaemia are 11.0 g/dl for children 6-59 mo, 11.5 g/dl for children 5-11 yr, and 12.0 g/dl for children 12-14 yr. Cutoffs to define anaemia for nonpregnant women are 12.0 g/dl, 11.0 g/dl for pregnant women, and 13.0 g/dl for men. Reference: Nelson; Page no: 298